Marker of new bone formation is -
1. Alakaline phosphatase
2. Acid phosphatase
3. Hydroxyl proline
4. None

Correct answer: 1. Alakaline phosphatase

Explanation: Answer is option 1, alkaline phosphatase Alkaline phosphatase has been clinically available for several years as a marker for bone metabolism. Serum alkaline phosphatase consists of several dimeric isoforms that originate from various tissues, such as liver, bone, intestine, spleen, kidney, and placenta. In adults with normal liver function, approximately 50% of the total alkaline phosphatase activity arises from the liver and 50% from the bone. emedicine.medscape.com> Refer robbins 9/e p774